Phycomycetes produce
1. Sexual spores
2. Asexual spores
3. Both sexual & Asexual spores
4. None of the above

Correct answer: 3. Both sexual & Asexual spores

Explanation: Phycomycetes

Non - Septate hyphae
Form both sexual & Asexual spores.